A progressive increase in mandibular length and in mandibular interdental spacing in an adult patient is characteristic of:
1. Periodontosis
2. Hypothyroidism
3. Hyperpituitarism
4. Hypoadrenalism

Correct answer: 3. Hyperpituitarism